Prophylactic chemotherapy in hydatidiform mole should preferably be given:
1. Prior to evacuation as a routine
2. Following evacuation as a routine
3. Selected cases following evacuation
4. As a routine 6 weeks postevacuation

Correct answer: 3. Selected cases following evacuation

Explanation: ptophylatic chemotherapy is not reconmended .Hence,it is advisable to follow uo the cases of molar pregnancy with serum beta hcg and institute chdmothetapy only in selected cases. Refer page no 171 of Text book of obstetrics,sheila balakrishnan,2 nd edition.